.All are catalase positive except
1. S. flexneri
2. S. boydii
3. S. dysenteriae type I
4. S. sonnei

Correct answer: 3. S. dysenteriae type I

Explanation: All bacteria among the Enterobacteriaceae including Shigella species are catalase positive exceptShigella dysenteriae type I(Ref: Ananthanarayan 9th edition, p285)